Contraindications to pregnancy are following except:
1. WPW syndrome
2. Eisenmenger's syndrome
3. Pulmonary arterial hypertension
4. Marfan's syndrome with aortic root dilatation

Correct answer: 1. WPW syndrome

Explanation: Ans. A. WPW syndromeTachyarrhythmias are relatively common and should prompt consideration of underlying cardiac disease. Wolff- Parkinson-White syndrome may first appear during pregnancy, but some women with previously diagnosed arrhythmias have an increased incidence of tachycardia during pregnancy. Paroxysmal supraventricular tachycardia is encountered most frequently. Half of these women are Wolff-Parkinson-White syndrome. Women with Wolff- Parkinson-White syndrome have supraventricular tachycardia during pregnancy. If vagal maneuvers do not stimulate conversion, treatment consists of digoxin, adenosine, or calcium-channel blocking drugs. Experience is accruing that adenosine is effective for cardioversion in hemodynamically stable pregnant women. Most of these drugs do not appear to do fetal harm, however, reported fetal bradycardia in response to intravenous adenosine has been described.